Citrovorum factor is given along with all the drugs except
1. Methotrexate
2. Pemetrexed
3. Pyrimethamine
4. Cytosine arabinoside

Correct answer: 4. Cytosine arabinoside

Explanation: Citrovorum factor or rescue factor or folinic acid -active form of folic acid is given along with antifolate drugs like Methotrexate, pemetrexed,pyrimethamine, cotrimoxazole,5 fluorouracil.Ref: Tripati 6thed.Pg : 592